Which does not has a known animal reservoir
1. Brucella melitensis
2. Bordettela pertussis
3. Pasturella multocida
4. Francisella tularensis

Correct answer: 2. Bordettela pertussis

Explanation: Ans. is. 'b' i. e., Bordettela pertussis